Thromboasthenia there is a defect in -
1. Platelet adhesion
2. Platelet aggregation
3. ADP secretion
4. Platelet contraction

Correct answer: 2. Platelet aggregation